Dorsal scapular nerve supplies all the following muscles except
1. Rhomboid major
2. Rhomboid minor
3. Supraspinatus
4. Levator scapulae

Correct answer: 3. Supraspinatus

Explanation: The dorsal scapular nerve is a branch of the C5 root of Brachial plexus. It supplies Levator scapulae, Rhomboid minor, and Rhomboid major.Ref: Chaurasia; Volume 1; 6th edition; Page no: 62